Neostigmine antagonizes non–depolarizing blockade by all of the following mechanisms EXCEPT :
1. Decreasing the breakdown of acetylcholine at the motor end plate
2. Preventing the K+ efflux from the cell
3. Increasing the release of acetylcholine at the motor end plate
4. Depolarization at the motor end plate

Correct answer: 2. Preventing the K+ efflux from the cell